Collagen formation is affected in deficiency of:
1. Vit -A
2. Vit -C
3. Vit -B2
4. Vit -D

Correct answer: 2. Vit -C